Man is both intermediate and definitive host for-
1. T. Solium
2. T.Saginata
3. D. Latum
4. Dicroftis hominis

Correct answer: 1. T. Solium

Explanation: Ans. is 'a' i.e., T. solium . Usually T. solium passes its life cycle in two hosts : 1) The definitive host, --> Man 2) The intermediate host Pig Man gets infected by ingestion of undercooked pork, containing cysticercus cellulosae. . Occasionally man gets infected in the same way as pig, by ingestion of eggs (either by drinking contaminated water or by eating uncooked vegetables infected with eggs). In this cycle man acts both as definitive as well as intermediate host.